Most common cause of fresh bleeding per rectum in a 5 year old child is -
1. Volvulus
2. Trauma
3. Worm infestation
4. Rectal polyp

Correct answer: 4. Rectal polyp

Explanation: Ans. is `d' i.e., Rectal polyp Fresh bleeding indicates bleeding from anal canal or rectum. Whenever a child comes with bleeding per anum, a diagnosis of rectal polyp should be made until it is excluded by rectal examination. According to C.P.D.T. common causes of bright red bleeding in a children 2-12 year old in decreasing order of frequency are ? Anal fissure Solitary rectal ulcer Juvenile polyp Lymhonodular hyperplasia. Differential diagnosis of bright red bleeding from rectum Infant Child (2-12 yrs) Adolescent > 12 Hematochezia Infectious colitis Infectious colitis Infectious colitis with diarrhoea Pseudomembranous colitis Pseudomembranous colitis Pseudomembranous colitis and crampy Eosinophilic colitis Granulomatous colitis Granulomatous colitis abdominal pain Hirschsprung's entrocolitis Hemolytic uremic syndrome H.U.S. H.S. purpura H.S.P. Lymphonodular hyperplasia Hematochezia Anal fissure Anal fissure Anal fissure without Eosinophilic colitis Solitary rectal ulcer Hemorrhoid diarrhoea Rectal gastric Juvenile polyp Solitary rectal Ulcer and abdominal pain mucosa, heterotropia Colonic hemangiomas Lymphonodular hyperplasia Colonic A-V malformation